Conjunctivitis in newborn is commonly caused by:
1. Streptococcus
2. Gonococcus
3. Pseudomonas
4. Chlamydia

Correct answer: 4. Chlamydia

Explanation: Ans. Chlamydia